The most common site of fracture neck of the femur that causes avascular necrosis is -
1. Sub-capital
2. Intertrochanteric
3. Trans-cervical
4. Basal

Correct answer: 1. Sub-capital

Explanation: "The more proximal the location of a femoral neck fracture, the more likely there is to be nonunion and/or AVN". — Musculoskeletal trauma

Thus non-union and AVN will be most common in subcapital fracture and least in basicervical fracture.